All are DNA viruses except :
1. Adenovirus
2. Poxvirus
3. Paramyxovirus
4. Parvovirus

Correct answer: 3. Paramyxovirus

Explanation: Paramyxovirus is a RNA containing virus. There are 7 families of DNA viruses. Adenovirus, Poxvirus, Parvovirus, Papillomavirus, Polyomavirus, Herpesvirus and Hepadnavirus